All cause malabsorption except
1. Giardia lamblia
2. Mycobacterium avium-intracellulare
3. Ascariasis
4. Microsporidium

Correct answer: 3. Ascariasis

Explanation: Ascariasis